Structures which passes through the internal auditory meatus are all except
1. Nerve of wrisberg
2. Anterior inferior cerebellar artery
3. Superior vestibular nerve
4. Cochlear nerve

Correct answer: 2. Anterior inferior cerebellar artery

Explanation: In the internal acoustic meatus,the motor root of facial nerve lies in a groove on the eight cranial nerve with the sensory root intervening. Here, the 7th and 8th cranial nerves accompanied by the labyrinthine vessels. Ref : B D Chaurasia's Human Anatomy , seventh edition , volume 4 , pg. no., 71 ( fig. 4.33 )